Which is NOT a type I respiratory failure:
1. ARDS
2. COPD
3. Pulmonary edema
4. Pneumonia

Correct answer: 2. COPD

Explanation: Ans. B i.e. COPDRespiratory failureType I:- Parenchymal disease,- ARDS,- Pneumoniae,EmphysemaType II:- COPD,- Flail chest etc.Type III:- Atelectasis